Cause of atonic bladder is:
1. Injury to sacral plexus
2. Injury to upper thoracic cord
3. Pregnancy
4. UTI

Correct answer: 1. Injury to sacral plexus

Explanation: A i.e. Injury to sacral plexus